Which of the following vaccine is given to newborn?
1. BCG
2. MMR
3. DPT
4. HiB

Correct answer: 1. BCG

Explanation: Ans. is 'a' i.e., BCG Timing of various vaccinesVaccienTimingBOGBirthDPT6,10,14 weeksMMR9 monthsOPVBirth, 6,10,14 weeksHEPBBirth, 1,6 months